A man with intermittent hiccups feels that he is about to die because he is suffering from gastric cancer. All his radiological
investigations prove the contrary. Which is the most probable diagnosis?
1. Hypochondriasis
2. Somazaon disorder
3. Conversion disorder
4. Delusional disorder

Correct answer: 1. Hypochondriasis

Explanation: A patent with the minor symptom of hiccups is preoccupied and fears for a life-threatening condition (gastric cancer) —> points to the probable diagnosis of hypochondriasis.
 The primary feature of hypochondriasis is a persistent preoccupation with excessive fear of a serious (e.g., cancer) or incurable (e.g., AIDS) disease,
which is based on the person’s own interpretation of physical symptoms or sensation, i.e., misinterpretation of physical symptoms or sensations,
for example, an occasional change in heart rate will lead a person with hypochondriasis to fear of heart disease.
Therefore, Hypochondriasis is abnormal preoccupation about norma] body function,
i.e., body functioning is normal but the patient thinks it as abnormal.